deep reticular layers of dermis is what type of connective tissue ?
1. dense irregular connective tissue
2. dense regular conntective tissue
3. loose areolar connective tissue
4. hyaline tissue

Correct answer: 1. dense irregular connective tissue

Explanation: Classification I. Connective Tissue Proper Loose connective Tissue - lamina propria Dense connective tissue - regular- tendons,ligaments & irregular - deep reticular layer of dermis II. Connective Tissue with special properties Adipose CT Elastic CT Hematopoietic CT(lymphatic and myeloid) Mucous CT III. Supoing Connective Tissue Cartilage Bone ref : bd chaurasia /vishram singh